A newborn boy has isolated cleft lip and palate. What is the most likely form of inheritance of this defect?
1. Autosomal recessive
2. Autosomal dominant
3. X-Iinked
4. Multifactorial

Correct answer: 4. Multifactorial

Explanation: Cleft lip with or without cleft palate can result from teratogenic exposure; it can be part of the fetal alcohol syndrome; it can be inherited as a multifactorial disorder; or it can be part of an autosomal dominant, autosomal recessive, or X- linked condition in all, more than 50 syndromes are associated with cleft lip with or without cleft palate. Computed tomography (CT) scan of the head, serum alcohol level, and urine toxic screen might be helpful in specific situations, depending on the physical examination and history. Cleft lip with or without cleft palate is not associated with amino acid disorders. When isolated, cleft lip with or without cleft palate is considered a multifactorial disorder, resulting from the effects of genes contributed by both parents (genetic liability) and some nongenetic (environmental) factors, which often cannot be identified.